GOBI stands for all the following except
1. Growth chart
2. Oral rehydration
3. Breast feeding
4. Infection control

Correct answer: 4. Infection control

Explanation: Currently, UNICEF is promoting a campaign known as GOBI campaign to encourage 4 strategies for a 'child health revolution'G - Growth charts to better monitor child developmentO - Oral rehydration to treat all mild and moderate dehydrationB - BreastfeedingI - Immunization against measles, diphtheria, polio, pertussis, tetanus and tuberculosisPark 23e pg: 924